Pick up the wrong type of Cell in myelodysplastic syndrome
1. Ringed Siduoblasts
2. Megakaryocytes with normal single multilobulated nuclei
3. P - seudo - pelger - Huet
4. Pawn - Ball megakaryocytes.

Correct answer: 2. Megakaryocytes with normal single multilobulated nuclei

Explanation: Ringed sideroblasts with iron laden mitochrondria
P. Seudo - pelger - Huet → Neutrophics with only two lobes
Pawn Ball megakaryocytes - megakaryocytes with multiple nuclei
Threre are three type of cells found in MDS.